The site of lesion in Korsakoff's psychosis is
1. Frontal lobe
2. Corpus striatum
3. Mammilary Body
4. Cingulate gyrus

Correct answer: 3. Mammilary Body

Explanation: C i.e. Mammilary body